Dummer's classification is associated with
1. Apical constriction
2. Apical foramen
3. Root canal Isthmus
4. No of canals

Correct answer: 1. Apical constriction

Explanation: Dummer’s classification of topography of apical constriction